The most likley diagnosis in a newbron who had a radiopaque shadow with an air fluid level in the chest along with hemivertebrae of the 6th thoracic vertebra on plain X-ray is:
1. Congenital diaphragmatic hernia
2. Oesophageal duplication cyst
3. Bronchogenic cyst
4. Staphylococcal pneumonia

Correct answer: 2. Oesophageal duplication cyst

Explanation: B i.e. Oesophageal duplication cyst